A maxillary right canine may be distinguished from a maxillary left canine because:
1. The root curves to mesial in the apical 1/3rd
2. The distal half of canine shows more convexity than the mesial half
3. Facially the cusp tip is placed distal to Bisecting line
4. Lingually the cervical line slopes mesially

Correct answer: 2. The distal half of canine shows more convexity than the mesial half